Mammographic abnormality seen in CA breast is :
1. Change in density
2. Clusters of Micro calcification
3. Change in architecture
4. All

Correct answer: 4. All

Explanation: Mammographic features of breast carcinoma :

Irregular spiculated margin.
Architectural distortion.
High density lesion.
Microcalcification.